Which of the following is used to depict the actions of extraocular muscles
1. Goldman three mirror
2. Hess Chart
3. Humphrey field
4. Octopus fiels

Correct answer: 2. Hess Chart

Explanation: Hess charting is done to depict the action of extra ocular muscle Goldman three mirror-Peripheral retina is best examined with indirect ophthalmoscopy and by the use of Goldman three mirror contact lens. Humphrey field-automated Perimetry. Octopus field-semi-automated kinetic perimetry